Meningitis bacteria are normally present in?
1. Nasopharynx
2. Skin
3. Genitals
4. Lower G.I.T

Correct answer: 1. Nasopharynx

Explanation: Ans. (a) NasopharynxRef: Harrison's 19th ed. / 997, 999* The natural habitat and reservoir for meningococci is the mucosal surfaces of the human nasopharynx and, to a lesser extent, the urogenital tract and anal canal.* Approximately 5-10% of adults are asymptomatic nasopharyngeal carriers, but that number increases to as many as 60-80% of members of closed populations (e.g, military recruits in camps).* The modes of infection include direct contact or respiratory droplets from the nose and throat of infected people.* The incubation period averages 3-4 days (range 1-10 days), which is the period of communicability.* Bacteria can be found for 2-4 days in the nose and pharynx and for up to 24 hours after starting antibiotics